Max. Joseph's space is a histopathological feature of:
1. Psoriasis vulgaris
2. Lichen plan us
3. Pityriasis rosea
4. Parapsoriasis

Correct answer: 2. Lichen plan us

Explanation: Lichen plan us